Most common complication of chronic gastric ulcer is -
1. Tea pot stomach
2. Scirrhous carcinoma (adenocarcinoma)
3. Perforation
4. Massive haematemesis

Correct answer: 4. Massive haematemesis

Explanation: Ans. is 'd' i.e., Massive haematemesis Most common complication of peptic ulcer is gastro intestinal bleeding. It is seen with both chronic and acute type of ulcers. Infact, chronic peptic ulcers are the most common cause of haematemesis and malaena. Complications of peptic ulcer ? 1) Gastrointestinal bleeding Most common complication of peptic ulcer Bleeding is more common in duodenal ulcers It is commonly seen in posterior duodenal ulcers because of erosion of gastroduodenal artery. 2) Perforation It is the second most common complication of peptic ulcer disease. Perforation occurs commonly in the ulcers located in the anterior part of duodenum. Duodenal ulcers tend to penetrate into pancreas causing pancreatitis. Gastric ulcers tend to penetrate into left hepatic lobe. 3) Gastric outlet obstruction It is the least common ulcer related complication. It is commonly associated with duodenal ulcers. Tea pot stomach is caused due to longitudinal shortening of the gastric ulcer at the lesser curvature of the stomach (It causes the stomach to look like tea pot). Hour glass stomach is caused due to cicatricial contraction of a saddle shaped ulcer at the lesser curvature.